Carpet tacking is characteristically seen in?
1. DLE
2. SLE
3. Lichen planus
4. Dermatitis herpetiformis

Correct answer: 1. DLE

Explanation: Ans. A. DLEa. Discoid lupus erythematosus (DLE, also called chronic cutaneous LE) is characterized by discrete lesions, most often found on the face, scalp, and/or external ears.b. The lesions are erythematous papules or plaques with a thick, adherent scale that occludes hair follicles (follicular plugging).c. When the scale is removed, its underside shows small excrescences that correlate with the openings of hair follicles (so called "carpet tacking"), a finding relatively specific for DLE. Long-standing lesions develop central atrophy, scarring, and hypopigmentation but frequently have erythematous, sometimes raised borders.d. These lesions persist for years and tend to expand slowly. Only 5-10% of patients with DLE meet the American Rheumatism Association criteria for SLE. However, typical discoid lesions are frequently seen in patients with SLE.e. Biopsy of DLE lesions shows hyperkeratosis, follicular plugging, atrophy of the epidermis, hydropic degeneration of basal keratinocytes, and a mononuclear cell infiltrate adjacent to epidermal, adnexal, and microvascular basement membranes.f. Direct immunofluorescence microscopy demonstrates immunoglobulin(s) and complement deposits at the basement membrane zone in 90% of cases.g. Treatment is focused on control of local cutaneous disease and consists mainly of photoprotection and topical or intralesional glucocorticoids. If local therapy is ineffective, use of aminoquinoline antimalarials may be indicated.